A 16-year-old female presents with Primary Amenorrhea. Examination shows a Short Blind Vagina, with absent Uterus. The Next Investiga- tion of choice is:
1. Karyotyping
2. IVP
3. Gonadotrophin levels
4. Serum Prolactin

Correct answer: 1. Karyotyping